Monteggia fracture is a:
1. Fracture of atlas
2. Fracture of radial styloid
3. Fracture of proximal 1/3 of ulna with dislocation of proximal radioulnar joint
4. Fracture of distal 1/3 of radius with dislocation of distal radioulnar joint

Correct answer: 3. Fracture of proximal 1/3 of ulna with dislocation of proximal radioulnar joint

Explanation: Fractures between the proximal third of the ulna and the base of olecranon combined with dislocation of the proximal radio-ulnar joint. Direction of dislocation of radial head is used for classification. Bado's classification is used to classify monteggia fracture